"Chemical pregnancy" means :
1. Negative beta HCG and absent gestational sac
2. Positive beta HCG and present gestational sac
3. Positive beta HCG and absent gestational sac
4. Negative beta HCG and created sac margin

Correct answer: 3. Positive beta HCG and absent gestational sac

Explanation: Positive beta HCG and absent gestational sac